Most important factor for maintaining intravascular fluid volume -
1. Hydrostatic pressure in capillaries
2. Osmotic pressure in capillaries
3. Hydrostatic pressure in interstitial space
4. Osmotic pressure in interstitial space

Correct answer: 2. Osmotic pressure in capillaries

Explanation: Ans. is 'b' i.e., Osmotic pressure in capillaries[Ref: Understanding medical physiology p. 331)Hydrostatic pressure in the capillaries, i.e., capillary blood pressure creates an outward driving force i.e., tries to force the fluid from the capillary to interstitial space.Osmotic pressure in the capillaries creates an inward driving force, ie., tries to keep the fluid in the capillary.